ANCA is NOT associated with which of the following disease -
1. Wegener's granulamatosis
2. Henoch schonlein purpura
3. Microscopic PAN
4. Churg Strauss syndrome

Correct answer: 2. Henoch schonlein purpura

Explanation: Ref - Researchgate.net